The normal mean corpuscular hemoglobin (MCH) is:
1. 5-8 pg
2. 15-18 pg
3. 28-32 pg
4. 32-38 pg

Correct answer: 3. 28-32 pg